Buprenorphine is calssified as -
1. Partial agonist at m receptor
2. Partial agonist at K receptor
3. Full agonist at m receptor
4. Full agonist at K receptor

Correct answer: 1. Partial agonist at m receptor

Explanation: Ans. is 'a' i.e., Partial agonist at receptor o Buprenorphine is partial agonist on mu receptor and antagonist at Kappa receptor.